"Shawl" sign is seen in?
1. Psoriasis
2. Dermato polymyositis
3. Sun burn
4. Skin Cancer

Correct answer: 2. Dermato polymyositis

Explanation: Ans. B. Dermato polymyositisCutaneous features include nail fold and gingival margin telangiectasia, palmar hyperkeratosis ("mechanic's hands"), and a poikilodermatous (dyspigmentation and telangiectasia) eruption over the shoulder girdle ("shawl sign"). Cutaneous features may precede the systemic illness.